Which of the syndrome is associated with supernumerary teeth:
1. Gardner's syndrome.
2. Cleidocranial dysplasia.
3. Cleft lip and palate.
4. All of the above.

Correct answer: 4. All of the above.

Explanation: Supernumerary teeth associated with:

Gardner's syndrome.
Cleidocranial dysplasia.
Cleft lip and palate.